Tumor marker of Dysgerminoma
1. a-fetoprotein
2. hCG
3. CA-125
4. Lactate dehydrogenase

Correct answer: 4. Lactate dehydrogenase

Explanation: Dysgerminoma is the most common malignant germ cell tumour, accounting for about 30% to 40% of all ovarian cancers of germ cell origin. Placental alkaline phosphatase (PLAP) and lactate dehydrogenase (LDH) are produced by up to 95% of dysgerminomas, and serial measurements of LDH may be useful for monitoring the disease. Reference: Berek and Novak's Gynecology; 14th edition; Chapter 37; Ovarian, Fallopian Tube, and Peritoneal Cancer